Calender method was described by -
1. Bitings
2. Ogino
3. Wallace
4. Ogive

Correct answer: 2. Ogino